Mineral required for cholesterol biosynthesis ?
1. Fe
2. Mn
3. Mg
4. Cu

Correct answer: 3. Mg

Explanation: Mg is required in stage 2 of cholesterol synthesis. Biosynthesis (De Novo Synthesis) of cholesterol The liver is the major site for cholesterol biosynthesis. Some cholesterol is also synthesized in intestine adre?nal cortex, gonads and skin. The microsomal (smooth endoplasmic reticulum) and cytosol fraction of cell is responsible fir cholesterol synthesis; However most of the reactions in synthesis occurs in cytosol. Cholesterol is a C-27 compound. All 27-carbon atoms of cholesterol are derived from a single precursor, i.e. acetyl-CoA (activated acetate). First two molecules of acetyl-CoA condense to form acetoacetyl-CoA. Next, a third molecule of acetyl- CoA condenses with acetoacetyl-CoA to form 3-hydroxy-3-methylglutaryl-CoA (HMG-CoA). Then HMG-CoA is converted to mevalonate by HMG-CoA reductase, the key regulatory enzyme of cholesterol synthesis.